Drug not used in treatment of H pylori is:
1. Cisapride
2. Clarithromycin
3. Metronadizole
4. Omperazole

Correct answer: 1. Cisapride

Explanation: Cisapride